A 9 yr old child is restless. He is hyperactive and his teacher complains that he does not listen to the teachings. Disturbs other students, he also shows less interest in playing. The likely diagnosis is -
1. Cerebral palsy
2. Attention deficit hyperkinetic child
3. Delirium
4. Mania

Correct answer: 2. Attention deficit hyperkinetic child

Explanation: Information in this question are : (i) Hyperactive child, (ii) Fails to follow instruction (does not listen to teaching), (iii) Disturbs other, (iv) Shows less interest in playing.
All are features of ADHD.